Bart's hydrops fetalis is lethal because
1. Hb Bart's cannot bind oxygen
2. Hb Bart's cannot release oxygen to fetal tissues
3. Microcytic red cells become trapped in the placental
4. The excess a - globin form insoluble precipitates

Correct answer: 2. Hb Bart's cannot release oxygen to fetal tissues

Explanation: Bart hydrops fetalis is a lethal complication of alpha thalassemia trait where oxygen can't release from hemoglobin